Which of the following is produced in the lipoxygenase pathway?
1. Thromboxane
2. Leukotrienes
3. Prostaglandin
4. Prostacyclin

Correct answer: 2. Leukotrienes

Explanation: Thromboxane A2, prostacyclin, and prostaglandins are formed by the cyclooxygenase pathway whereas leukotrienes are formed by the lipooxygenase pathway.Ref: Textbook of medical physiology by N Geetha, 2nd edition, page no. 103